A 50-year-old diabetic patient with asymptomatic gallstone (>3 cm) will be best treated by
1. Early surgery
2. Bile salt treatment
3. ESWL
4. Waiting till it becomes symptomatic

Correct answer: 1. Early surgery

Explanation: Prophylactic cholecystectomy should be conducted in this patient even though it is a silent gallstone with no symptoms as he is a diabetic & stone size is more than 3 cm.
Such patients are at increased risk of complications from gallstones.

Reference: Bailey & Love's short practise of surgery,25 th edition, page no:1121.